Gonococcus is
1. Extracellular gram positive
2. Intracytoplasmic gram positive
3. Intracytoplasmic gram negative
4. Intranuclear gram positive

Correct answer: 3. Intracytoplasmic gram negative

Explanation: Gonococci is gram-negative, diplococci. Gonococci, in smears from the urethral discharge in acute gonorrhea, appears as diplococcus with adjacent sides concave being typically kidney-shaped. Found predominantly within the polymorphs, some cells containing as many as hundred cocci. Reference: Textbook of Microbiology; Anathanarayan and panicker's; 10th edition; Page no: 230